Which of the following is an example of disability limitation in poliomyelitis?
1. Reducing occurrence of polio by immunization
2. Arranging for schooling of child suffering from PRPP
3. Resting affected limbs in neutral position
4. Providing calipers for walking

Correct answer: 3. Resting affected limbs in neutral position

Explanation: Resting limbs in neutral position helps prevent over-stretching of paralyzed muscles, thereby limits further disability. Disability limitation- It's objective is to prevent or halt the transition of the disease process from impairment to handicap. Disability limitation & rehabilitation comes under tertiary level of prevention.